Acute yellow Fatty Liver is caused by which of the following poisonings?
1. Aconite
2. Arsenic
3. Lead
4. Mercury

Correct answer: 2. Arsenic

Explanation: B i.e. Arsenic Acute yellow fatty liver is characteristically seen in phosphorus poisoning but can also be seen in arsenic poisoningQ.